Numerator of Dependency ratio is:-
1. <10 years age
2. <15 years age
3. <19 years age
4. <15 years and >65 years age

Correct answer: 4. <15 years and >65 years age

Explanation: Dependency Ratio (DR) : The Proportion of persons above 65 years of age and children below 15 years of age are considered to be dependent on economically productive age group.( 15 - 64 years) DR = Proportion of persons < 15 years age and > 65 years age / Proportion of persons 15 - 64 years age.